The average life of a cyclops is about -
1. 1 month
2. 2 months
3. 3 months
4. 4 months

Correct answer: 3. 3 months

Explanation: Ans. is 'c' i.e., 3 months Cvelops Cyclops or water flea is a crustacean present in most collections of fresh water. o It swims in water with characteristic jerky movements. o The average life of cyclops is about 3 months, o Cyclops is the intermediate host ofguinea-worm disease and fish tapeworm. Diphyllobothrium (atom.